Terminal mandibular molar anchor teeth requiring preparations involving the distal surface; retainer used is
1. W27
2. W56
3. W7
4. W8

Correct answer: 1. W27